Frey syndrome include
1. Crocodile tears
2. Merciful anosmia
3. Gustatory sweating
4. None of the above

Correct answer: 3. Gustatory sweating

Explanation: Frey's Syndrome includes sweating while eating (gustatory sweating) and facial flushing. It is caused by injury to the auriculotemporal nerve, typically after surgical trauma to the parotid gland. This nerve, when it heals, reattaches to sweat glands instead of the original salivary gland (which had been removed during surgery).Ref: Hazarika; 3rd ed; Pg 189